Intraepidermal IgG deposition is seen in:
1. Pemphigus
2. Bullous pemphigoid
3. Herpes genitalis
4. None of the above

Correct answer: 1. Pemphigus

Explanation: Pemphigus